A child with complaints of cough. Characteristic inspiratory whoop. Sample for investigation is ________
1. Nasopharyngeal swab
2. Tracheal aspiration
3. Cough plate culture
4. Sputum culture

Correct answer: 1. Nasopharyngeal swab

Explanation: Pertussis is an acute highly contagious respiratory tract infection caused by Bordetella pertussis. - it is called whooping cough due to the characteristic whoop produced by the air rushing in during inspiration through half open glottis. - diagnosis is mainly based on clinical symptoms. - the sample of choice is nasopharyngeal swab. Reference : Ghai essential pediatrics, eighth edition, pg no:242,243